Impedance audiometry is done in?
1. Otomycosis
2. Meniere's disease
3. Pressure changes in middle ear
4. Cholesteatoma

Correct answer: 3. Pressure changes in middle ear

Explanation: It is an objective test, widely used in clinical practice and is particularly useful in children. It consists of: Tympanometry Acoustic reflex measurements By changing the pressure in a sealed external auditory canal and then measuring the reflected sound energy, it is possible to find the compliance or stiffness of the tympano-ossicular system and thus find the healthy or diseased status of the middle ear.